In young women the method of diathermy conization should be :
1. Superficial conization
2. Deep conization
3. Any of the above
4. None of the above

Correct answer: 1. Superficial conization

Explanation: Superficial conization